Emergence delirium is associated with –
1. Pentothal sodium
2. Ketamine
3. Droperidol
4. Halothane

Correct answer: 2. Ketamine